True regarding exfoliation of lens occurs in:
1. Glass furnace workers
2. Glass blowers
3. Infrared exposures
4. All of the above

Correct answer: 4. All of the above

Explanation: (AH of the above) (254-Parson 20th) (167-Kanski 5th)Infra red radiation (Traumatic cataract) - If intense as in glass blowers. May rarely cause true exfoliation or lamellar delamination of the anterior lens capsule in which the superficial portion of a thickened capsule splits from the deeper layer and extends into anterior chamber.